Which of the following values are suggestive of acute tubular necrosis -
1. Urine osmolality > 500mosmol/L H20
2. Urine sodium > 40 meq/L
3. Blood urea nitrogen/ plasma creatinine > 20:1
4. Urine creatinine/plasma creatinine > 40

Correct answer: 2. Urine sodium > 40 meq/L

Explanation: In acute tubular necrosis - Urine sodium ->40meq/L Urine osmolality -<350mosmol/L BUN /plasma creatinine=10-15:1 Urine creatinine/plasma creatinine-<20 Casts-muddy brown Ref:Harrison 20th edition pg no. 291